All of the following organization have their head quarter at Geneva except
1. UNICEF
2. WHO
3. ILO
4. None

Correct answer: 1. UNICEF